65 year old man with carcinoma of tongue of > 4 cm size and multiple lymph nodes of > 6 cm noted. What is the AJC staging
1. T2 N3 M0
2. T3 N3 M0
3. T3 N2 M0
4. T2 N2 M0

Correct answer: 2. T3 N3 M0